In a patient with reduced salivary flow the carious
incidence is
1. more than the patient with normal salivary flow
2. Less than the patient with normal salivary flow
3. unaffected
4. none of the above

Correct answer: 1. more than the patient with normal salivary flow